Pasteruisation of milk does not kills -
1. Anthrax
2. Brucella
3. Mycobacterium tuberculosis
4. Streptococcus

Correct answer: 1. Anthrax

Explanation: Pasteurization doesn't kill thermoduric bacteria nor the bacterial spores. REF. PARK'S TEXTBOOK OF PREVENTIVE AND SOCIAL MEDICAL 21ST EDITION. PAGE NO - 606